A 32 year old female with a history of 2 mid-trimester abortions, comes now with 32 weeks of pregnancy and labour pains with Os dilated 2 cm. All are done, except :
1. Immediate circlage
2. Betamethasone
3. Antibiotics
4. Tocolytics

Correct answer: 1. Immediate circlage

Explanation: Ans. is a i.e. Immediate cerclage